Features of hypothyroidism does not include:
1. Obesity
2. Hypertension
3. High TSH levels
4. Increased risk of infections

Correct answer: 4. Increased risk of infections